The characteristic tetrads in RBC occur in
1. Malaria
2. Babesiosis
3. Lyme disease
4. Plague

Correct answer: 2. Babesiosis

Explanation: Tetrad forms in RBC's which represent budding merozoites from the trophozoites in the red blood cells are called Maltese cross. These are seen in babesiosis or piroplasmosis Babesiosis is an emerging tick-borne infectious disease caused by protozoan parasites of the genus Babesia that invade and eventually lyse red blood cells (RBCs). fig:- maltese cross apperence seen in RBC (Babesiosis) In malaria diffent form of life cycle are seen according to infecton of species of malaria. Plague and Lyme disease not infect RBCs